A diabetic patient developed cellulitis due to S. aureus, which was found to be methicillin resistant on the antibiotic sensitivity testing. All of the following antibiotics will be appropriate except ?
1. Vancomycin
2. Imipenem
3. Teicoplanin
4. Linezolid

Correct answer: 2. Imipenem

Explanation: Ans. is 'b' i.e., ImipenemMethicillin - resistant staphylococcus - aureus (MRSA). Most staphylococci are penicillin resistant because they secrete penicillinase.. To overcome this resistance, penicillinase resistant penicillins, e.g. methicillin and nafcillin were developed.. MRSA is a strain of staphylococcus aureus that has acquired multi-drug resistance - even against methicillin and nafcillin (penicillinase resistant penicillin).Treatment of S. aureus infections. Sensitive to penicillin --> Penicillin G is the DOC.. Pt. with penicillin allergy --> Cefazoline is the DOC.MRSA ---> Vancomycin is the DOC.Methicillin - resistant staphylococcus - aureus (MRSA). Most staphylococci are penicillin resistant because they secrete penicillinase.. To overcome this resistance, penicillinase resistant penicillins, e.g. methicillin and nafcillin were developed.. MRSA is a strain of staphylococcus aureus that has acquired multi-drug resistance - even against methicillin and nafcillin (penicillinase resistant penicillin).Treatment of S. aureus infections. Sensitive to penicillin --> Penicillin G is the DOC.. Pt. with penicillin allergy --> Cefazoline is the DOC.. MRSA ---> Vancomycin is the DOC.. Other drugs for MRSA are- TMP - SMX - Levofloxacin - Linezolid -Tigecyclin- Minocyclin - Quinopristin - Daptomycin - Teicoplanin (KDT - 691)- Ciprofloxacin - Dalfopristin - Oritavancin. Adjunctive drugs (those that should be used only in combination with other antimicrobial agents) for M.R.S.A. are gentamycin, rifampin, fusidic acid."The carbapenem imipenem has excellent activity against methicillin - senstive S. aureus but not M.R.S.A."